Theory which says about disease due to social strain
1. Marxist
2. Parsonian
3. Foucauldian
4. Feminist

Correct answer: 2. Parsonian